Extensive abrasions are found on the body of a pedestrian. The cause is:
1. Primary impact injury
2. Secondary impact injury
3. Secondary injury
4. Postmortem artifact

Correct answer: 3. Secondary injury

Explanation: Ans. Secondary injury